The legal responsibilities of an intoxicated person is given under Section of IPC
1. 82
2. 83
3. 84
4. 85

Correct answer: 4. 85

Explanation: Ans. d. 85